Fixity of the breast tissue in carcinoma of breast indicates infiltration of
1. Suspensory ligaments
2. Lymphatics
3. Pectoralis muscle and fascia
4. Internal mammary artery

Correct answer: 3. Pectoralis muscle and fascia

Explanation: Answer- C. Pectoralis muscle and fasciaFixity of the breast tissue is tested by asking the patient to press the hand against the hip forcibly to contract Pectoralis major muscle & moves the breast over the pectoralis fascia in the direction of muscle frbres of the pectorals major muscle.Loss of normal mobility or fixity of the breast tissue indicates spread of cancer cells to underlying pectoralis muscle and fascia.